To stop variceal bleeding pressure in sengstaken Blakemore tube should be
1. 40mmHg
2. 50mmHg
3. 60mmHg
4. 70mmHg

Correct answer: 1. 40mmHg

Explanation: Sengstaken - Blakemore tube If the rate of blood loss prohibits endoscopic evaluation, a sengstaken-Blakemore tube may be inserted to provide temporary hemostasis Once inserted, the gastric balloon is inflated with 300ml of air and retracted to the gastric fundus, where the varices at the esophagogastric junction are tamponade by the subsequent inflation of the esophageal balloon to a pressure of 40mmHg The remaining two channels allow gastric and esophageal aspiration A radiograph is used to confirm the position of the tube The balloons should be temporarily defalated after 12 hrs to prevent pressure necrosis of the esophagus Ref: Bailey and love 27th edition Pgno : 1164